Outer cell mass gives rise to?
1. Embryo proper
2. Trophoblast
3. Syncytiotriophoblast
4. None

Correct answer: 2. Trophoblast

Explanation: Ans. (b) TrophoblastRef: Longman's embryology 10th ed., p 38, Longman's medical embryology 12th / 37-40